"En coup de sabre" is seen in:
1. Syphilis
2. Leprosy
3. Scleroderma
4. Scabies

Correct answer: 3. Scleroderma

Explanation: Ans. C. Sclerodermaa. The term scleroderma describes two separate entities. One is a systemic disorder (progressive systemic sclerosis [PSS); while the other is a strictly cutaneous (morphea).b. The most common presentation of morphea is solitary or multiple circumscribed patches of erythema that evolve into indurated, sclerotic, atrophic plaques, later healing, or "burning out" with pigment change. Morphea can affect any area of skin, but when confined to the frontal scalp, forehead, and midface in a linear band, it is referred to as linear scleroderma or "en coup de sabre."c. This form of morphea carries a poorer prognosis because of the associated underlying musculoskeletal atrophy that can be cosmetically disfiguring. Linear morphea over a joint may lead to restriction of mobility.